Calcifying epithelioma is also known as -
1. Pilomatrixoma
2. Myoblastoma
3. Calcinosis cutis
4. Dermatofibroma lenticulare

Correct answer: 1. Pilomatrixoma

Explanation: Ans. is 'a' i.e., Pilomatrixoma